Which of the following is not a risk factor for carcinoma of the esophagus?
1. Chronic alcohol use
2. H. pylori infection
3. Chronic GERD
4. Plummer Vinson syndrome

Correct answer: 2. H. pylori infection

Explanation: Barrett esophagus develops in patients with chronic GERD and represents columnar metaplasia of the esophageal squamous mucosa. Barrett esophagus is a risk factor for development of esophageal adenocarcinoma. Esophageal squamous cell carcinoma is associated with alcohol and tobacco use, poverty, caustic esophageal injury, achalasia, tylosis, and Plummer-Vinson syndrome. Some serotypes of Helicobacter pylori are associated with decreased risk of esophageal adenocarcinoma. Helicobacter pylori infection can be a risk factor for development of MALT lymphoma in stomach.